Mode of spread in tubercular PID is ?
1. Through continuity
2. Adjacent organs
3. Through blood stream
4. Through lymphatics

Correct answer: 3. Through blood stream

Explanation: Modes of spread of pelvic infection: The route of infection is most commonly ascending in nature. Classic modes of infection of some specific organisms are: Through continuity and contiguity--gonococcal infection. Through lymphatics and pelvic veins--postaboal and puerperal infection--by pyogenic organisms other than gonococcus. Through blood stream--tubercular From adjacent infected extra-genital organs like intestine.